Which of the following fats has the highest concentration of saturated fatty acids -
1. Butter
2. Palm oil
3. Coconut oil
4. Margarine

Correct answer: 3. Coconut oil

Explanation: Ans. is 'c' i.e., Coconut Oil o Richest source of polyunsaturated fatty acid ---> Safflower oil. o Richest source of monounsaturated fatty acid ---> Palmolein oil. a Richest source of saturated fatty acid --> Coconut oil.